Cross-product ratio is estimated by ?
1. Cohort study
2. Case-control study
3. Cross sectional study
4. Field trial

Correct answer: 2. Case-control study

Explanation: Ans. is 'b' i.e., Case-control studyOdds - ratio (cross product ratio)From a case control study odds ratio can be derived which a measure of the strength of association between risk factor and outcome.Odds ratio is closely related to relative risk (which is analysed in cohort study) 4 odds ratio represents only an estimate of relative risk.